Which of the following is not the manifestation of Borrelia Burgdorferi -
1. Erythema chronicum migrans
2. Acrodermatitis chronica atrophicans
3. Lymphogranuloma venerum
4. All

Correct answer: 3. Lymphogranuloma venerum

Explanation: Ans. is 'c' i.e., Lymphogranuloma vernerum . Amongst the given options only option a and b are caused by Borrelia burgdorferi ( Lyme's disease). Erythema migrans (erythema chronicum migrans) is stage 1 (local infection) and acrodermatitis chronica atrophicans is seen in stage 3 (persistant infection).